ISO has classified instrument on the basis of
1. Method of use
2. Use of instrument
3. Newer instruments
4. Cutting efficiency

Correct answer: 1. Method of use